Premature fusion of coronal, sphenofrontal and frontoethmoidal sutures is seen in?
1. Turricephaly
2. Dolicocephaly
3. Plagiocephaly
4. Trigoncephaly

Correct answer: 1. Turricephaly

Explanation: Premature fusion of coronal, sphenofrontal and frontoethmoidal sutures is seen in Turricephaly 1. Turricephaly Cone-shaped head caused by premature fusion of coronal, sphenofrontal and frontoethmoidal sutures 2. Dolicocephaly Due to premature closure of sagittal suture produces a long and narrow skull Also called scaphocephaly.It is the most common form of craniosynostosis 3. Plagiocephaly Asymmetrical distortion or flattening of one side of the skull 4. Trigonocephaly Caused by premature fusion of metopic suture - Keel-shaped forehead and hypotelorism Increased risk for associated developmental abnormalities of the forebrain